The proportion of which of the acids are increased in acne comedones?
1. Linolenic acid
2. Palmitic acid
3. Acetic acid
4. Linoleic acid

Correct answer: 2. Palmitic acid

Explanation: In acne comedones the proportion of linoleic acid is markedly decreased, while palmitic acid is significantly increased. Decreased proportion of linoleic acid, markedly suppresses neutrophil reactive oxygen species (ROS) generation and phagocytosis and contribute to the worsening of acne inflammation.